Secondary dentin formation
1. Greater at pulp floor
2. Greater at pulp roof
3. Same at floor and roof
4. None of the above

Correct answer: 1. Greater at pulp floor